All are advantages of split thickness skin graft except
1. good uptake
2. reusable donor site
3. less contraction
4. large grafts can be harvested

Correct answer: 3. less contraction